Tibial collateral ligament is the degenerated part of-
1. Adductor magnus
2. Semitendinosus
3. Semimembranosus
4. Biceps femoris

Correct answer: 1. Adductor magnus

Explanation: Ans. is 'a' i.e., Adductor magnus o MCL is a degenerated part of adductor magnus.